Extra axial enhancing lesion on MRI. The most likely diagnosis is:
1. Meningioma
2. Ependymoma
3. Arachnoid cyst
4. Lipoma

Correct answer: 1. Meningioma

Explanation: After glioblastomas, meningiomas are the second most common brain tumor, and the most common extra axial tumor. Ref: Essentials of Clinical MR edited by Val Runge, John Morelli, 2010, Chapter 4